Which of the following is the most significant component of a behavioral program developed to help a mother deal with a child having oppositional defiant disorder?
1. Positive reinforcement
2. Punishment
3. School suspension
4. Strict parenting

Correct answer: 1. Positive reinforcement

Explanation: Positive reinforcement of promoting desirable behaviours through rewards is the most significant component of the program used to deal with ODD.